The post mortem report in case of death in police custody should be recorded as
1. Tape recording
2. Video recording
3. Photographic recording
4. All

Correct answer: 2. Video recording

Explanation: Ans. b (Video recording). (Ref. Parikh, FMT, 5th ed., 130)Installation of video camera in jail and recording of postmortem in case of death in police custody is according to human rights.